Which of the following stages of demographic cycle has expanding population?
1. Second
2. Third
3. Both of the above
4. None of the above

Correct answer: 3. Both of the above

Explanation: Stages of demographic cycle are: First stage (High stationary) Second stage (Early expanding) Third stage (late expanding) Fourth stage (Low stationary) Fifth stage (declining) Ref: Park, 22nd edition pg: 441